Laparoscopic sterilization is not recommended during the period of:
1. Immediate post-partum
2. Interval
3. Post menstrual
4. Post first trimester M.T.P

Correct answer: 1. Immediate post-partum

Explanation: - Laparoscopy is not advisable for postpartum patients for 6 weeks following delivery- Hence, option-1 is answer - However, it can be done as a concurrent procedure to MTP. - Haemoglobin should not be less than 8. - It is recommended that the patient be kept in hospital for a minimum of 48 hours after the operation.